Floatation of a body in water is due to -
1. Flesh being eaten by fishes
2. Presence of gases
3. Water logging of body
4. All of the above

Correct answer: 2. Presence of gases

Explanation: o Floatation of dead body occurs due to accumulation of sufficient putrefactive gases.